Primase activity is present in
1. DNA polymerase II
2. DNA polymerase a
3. DNA polymerase b
4. DNA polymerase d

Correct answer: 2. DNA polymerase a

Explanation: DNA polymerase alpha also known as Pol a is an enzyme complex found in eukaryotes that is involved in initiation of DNA replication Comparison of Prokaryotic and Eukaryotic DNA Polymerases (see treasure)